One of the following rules explains about the grinding of certain cusps to produce balance in lateral movements:
1. Ante's rule
2. Bull rule
3. Wolfs rule
4. Cieszynski's rule

Correct answer: 2. Bull rule